Not a true feature in Hutchinson's triad
1. Interstitial keratitis
2. Notched incisors
3. Deafness
4. Cataract

Correct answer: 4. Cataract

Explanation: Hutchinson' s triad seen in congenital syphilis, this include interstitial keratitis, deafness, and Hutchinson's teeth. Ref: Baveja textbook of microbiology; 4th edition.